Secular trend is demonstrated by:
1. Line diagram
2. Bar graph
3. Pie chart
4. Stem leaf plot

Correct answer: 1. Line diagram

Explanation: Line diagram